What shall be the Gustafson's ranking of structural changes in age determination , if attrition is reaching the dentin,Periodontosis along first 1/3rd of root, Cementum apposition is a heavy layer ,more cementum and dentin affected, Transparency over apical 1/3rd of root
1. A2,P2,C3,R3,T3
2. A2,P2,C3,R3,T2
3. A1,P1,C3,R2,T3
4. A3,P2,C1,R2,T0

Correct answer: 2. A2,P2,C3,R3,T2

Explanation: Gustafson's ranking of structural changes in age determination A = Attrition A-0 No Attrition A-1 Attrition lying within enamel A-2 Attrition reaching the dentin A-3 Attrition reaching the pulp P = Periodontosis P-0 No Periodontosis P-1 Periodontosis just begun P-2 Periodontosis along first 1/3rd of root P-3 Periodontosis along 2/3rd of root C = Cementum apposition C-0 Normal C-1 A layer little greater than normal C-2 A great layer C-3 A heavy layer R = Root resorption R-0 No visible restoration R-1 Resorption only on small isolated spots R-2 Greater loss of substance R-3 More cementum and dentin affected T = Root transparency T-0 Transparency not present T-1 Transparency just noticeable T-2 Transparency over apical 1/3rd of root T-3 Transparency over apical 2/3rd of root